Liver synthesizes all, except
1. C3 complement component
2. Haptoglobin
3. Fibrinogen
4. Immunoglobulin

Correct answer: 4. Immunoglobulin

Explanation: Liver synthesizes clotting factors such as fibrinogen(I), factors V, VII, IX & X. Liver synthesizes Haptoglobin which binds free hemoglobin released from erythrocytes with high affinity and thereby inhibits its oxidative activity. Liver synthesizes C3 complement which is chemotactic & plays a role in opsonization. Immunoglobulins are secreted from plasma cells & play a role in defense mechanism of body.Ref: Medical Physiology, Indu Khurana